In a blast injury , which of the following organ is least vulnerable to the blast wave
1. G .I tract
2. Lungs
3. Liver
4. Ear drum

Correct answer: 3. Liver